Which of the following is the effect of restriction endonuclease on nucleotides?
1. Break single stranded DNA
2. Break double stranded DNA
3. Break RNA
4. Break peptide chain

Correct answer: 2. Break double stranded DNA

Explanation: Restriction endonucleases breaks down the double stranded DNA in a specific manner.